Endometrial repair after menstrual bleeding is under the influence of which hormone ?
1. FSH
2. Progesterone
3. Estrogen
4. LH

Correct answer: 3. Estrogen

Explanation: Ans. is 'c' i.e., EstrogenAfter mensturation there is proliferative phase, which is under the control of estrogen.Secretory phase is controlled by progesterone